Iris is thinnest at:
1. Ciliary zone
2. pupil margin
3. Base
4. Collarette

Correct answer: 3. Base

Explanation: The iris is thinnest at its attachment to the ciliary body (base) so that if it tends to give way in this region.